Wrong statement is -
1. Pulses are deficent in methionine
2. Cerels are deficient in lysine
3. Wheat deficient in threonine
4. Maize is deficient in tryptophan & leucine

Correct answer: 4. Maize is deficient in tryptophan & leucine

Explanation: Maize is deficent in in tryptophan and lysine. REF. PARK'S TEXTBOOK OF PREVENTIVE AND SOCIAL MEDICAL 21ST EDITION. PAGE NO - 579